The following fractures known for non-union except
1. Scaphoid fracture
2. Lateral condyl humerus fracture
3. Colle's fracture
4. Femur neck

Correct answer: 3. Colle's fracture

Explanation: Non-union shown by 


Malunion shown by 







Scaphoid fracture
Neck of the femur fracture
Lateral condyl of humerus fracture
Body of Talus fracture
Lower 1/3rd Tibia 
Lower 1/3rd Ulna




Colle's fracture
Supracondyl humerus fracture
Clavical fracture
Intertrochanteric femur fracture